Thyroid carcinoma associated with hypocalcemia is -
1. Follicular carcinoma
2. Medullary carcinoma
3. Anaplastic carcinoma
4. Papillary carcinoma

Correct answer: 2. Medullary carcinoma